What should be done to reduce blood loss during myomectomy for fibroid uterus:
1. Preoperative oral contraceptive pills administration
2. Postoperative control of hypertension
3. Tourniquet use
4. Intraoperative blood transfusion

Correct answer: 3. Tourniquet use

Explanation: Ans: C i.e. Tourniquet use administration Haemorrhage should be controlled with the myomectomy clamp. If the myomectomy clamp cannot be applied as in cervical fibroid, a rubber tourniquet will serve the purpose.